The development of cells of immune system in the individual is called as:
1. Ontogeny
2. Phylogeny
3. Allogeny
4. Heterogeny

Correct answer: 1. Ontogeny

Explanation: Immunological ontogeny:
The origin and development (=ontogeny) of the lymphocyte system, from its earliest stages to the two major populations of mature lymphocytes: the thymus dependent or T lymphocytes, and the thymus-independent or B lymphocytes.